Which of the following cranial structures are insensitive to pain:
1. Dural sheath surrounding vascular sinuses
2. Choroid Plexus
3. Falx cerebri
4. Middle meningeal Artery

Correct answer: 2. Choroid Plexus

Explanation: Answer is B (Choroid plexus): Choroid plexus is a pain insensitive cranial structure. The ventricular ependyma, choroids plexus, pial veins and much of brain parenchyma are not pain producing'- Harrison's Pain Sensitive Intracranial Cranial venous sinuses with afferent veins Arteries at base of brain and arteries of dura including middle meningeal artery Dura around venous sinuses and vessels Falx Cerebri Extracranial Skin Scalp Appendages Periostium Muscles Arteries Mucosa Nerves Trigeminal (Vth) Facial (VIII) Vagal (X) Glossopharyngeal(IX) Second (II) & Third (IIIrd) C.N. Pain Insensitive Intracranial Brain parenchyma Ependyma Choroid plexus Piamater Arachnoid Dura over convexity of skull (Dura around vascular sinuses and vessels is sensitive to pain)